Sex chromosome pattern in Klinefelter's syndrome is:
1. XXY
2. XO
3. XX
4. XY

Correct answer: 1. XXY

Explanation: Ans. A i.e. XXY